Which of following is the feature of Y chromosome?
1. Acrocentric
2. Telocentric
3. Submetacentric
4. Metacentric

Correct answer: 1. Acrocentric

Explanation: A normal chromosome appear constricted at the centromere, this divides each chromosome into two arms. The short arm is designated as p arm and the long arm is designated as q. Ref: Primate Anatomy: An Introduction By Friderun Ankel-Simon, 3rd Edition, Page 552 ; Clinical Laboratory Medicine By Kenneth D. McClatchey 2nd Edition, Page 568 ; Folia Biologica 2001, Page 146